Action of 1-2mcg/kg.min of dopamine is
1. Renal vasodilatation
2. Increased blood pressure
3. Inotropic action
4. Vasoconstriction

Correct answer: 1. Renal vasodilatation

Explanation: Dopamine at dose 1-2mcg/kg.min- renal vasodilatation2-10mcg/kg/min : beta 1 stimulationMore than 10 mcg/kg/min - vasoconstriction - alpha stimulationRef: Harrison; 17th ed. Pg 1453